Which of the following disease modifying anti–rheumatoid drugs is a prodrug ?
1. Etanercept
2. Nimesulide
3. Sulfasalazine
4. Colchicine

Correct answer: 3. Sulfasalazine